Xanthoma dissemination is associated with:-
1. Down's Syndrome
2. Diabetes Insipidus
3. Lymphoma
4. Ca Pancreas

Correct answer: 2. Diabetes Insipidus

Explanation: Xanthoma dissemination Non-Familial Non-Langerhan Histiocytosis. C/F : Presents with Xanthoma like lesion, we see reddish yellow papules over the whole body. Associated with Diabetes Insipidus.